You decide not to prescribe sildenafil in a patient because the patient told you that he is taking an antianginal drug. Which of the following can it be ?
1. Calcium channel blockers
2. β adrenergic blockers
3. Organic nitrates
4. Angiotensin converting enzyme inhibitors

Correct answer: 3. Organic nitrates